Initial screening test for the auditory function in neonates
1. Auditory Brainstem Response (ABR)
2. Otoacoustic Emissions (OAE)
3. Free Field Audiometry
4. Visual reinforcement audiometry

Correct answer: 2. Otoacoustic Emissions (OAE)

Explanation: Ans. b. Otoacoustic Emissions The screening investigation of high-risk neonates in ICU for suspected hearing loss is otoacoustic emissions. Uses of OAE Screening test of hearing in neonatesQ Help to differentiate between cochlear and retrocochlear lesionsQ Used to diagnose retrocochlear pathologies especially auditory neuropathyQ